HIV pt with malabsotion, fever, chronic diarrhoea, with acid fast positive organism. What is the causative agent?
1. Giardia
2. Microsporidia
3. Isospora
4. E. Histolytica

Correct answer: 3. Isospora

Explanation: Isospora belli It is an opportunistic parasite Infection is usually asymptomatic. Clinical illness including abdominal discomfort,mild fever and diarrhoea develops a week after exposure. The illness is usually selflimited but protracted diarrhoea, lasting for several years, can be produced in immunocompromised persons, particularly in the HIV infected. Diagnosis may be made by demonstration of the oocysts in fecal smears. They may be scanty and because of their transparent nature may be overlooked in unstained films. They stain red by the cold acid-fast technique. Zinc sulphate or formol-ether techniques can be employed for concentration. REF:TEXTBOOK OF MEDICAL PARASITOLOGY;CKJ PANIKER;8TH EDITION;PAGE NO 106